Danazol is used in all of the following except :
1. Fibroadenosis of breast
2. Dysfunctional uterine bleeding
3. Pituitary adenoma
4. Endometriosis

Correct answer: 3. Pituitary adenoma

Explanation: Pituitary adenoma